Helix in a finger spring for mesial movement lies
1. Mesial to the tong axis of the tooth
2. Distal to the Long axis of the tooth
3. In line to the long axis of the tooth
4. Perpendicular to the long axis of the tooth

Correct answer: 3. In line to the long axis of the tooth